Duanne syndrome involves-
1. Superior oblique
2. Inferior oblique
3. Lateral rectus
4. Superior rectus

Correct answer: 3. Lateral rectus

Explanation: Ans. is 'c' i.e., Lateral rectus o Duane retraction syndrome represents the most frequent and most prominent congenital cranial dysinnervation disorder (CCDD).o It is due to fibrosis of the lateral rectus or an innervational anomaly with Co-contraction of the lateral and medial recti.o There is deficiency of abduction, associated with impaired adduction, contraction of palpebral fissure and oblique movements of the eye.